pumping action is shown by:
1. Central hemangioma
2. Peripheral hemangioma.
3. Central giant cell granuloma.
4. All of the above.

Correct answer: 1. Central hemangioma

Explanation: pumping action is if the tooth in the tumor area is pushed into the socket,it is rebound back